Most common site of origin of RCC
1. PCT
2. DCT
3. Collecting ducts
4. Loop of Henle

Correct answer: 1. PCT